MC gene involved in endometrial carcinoma
1. PTEN
2. BRAF
3. KRAS
4. Mismatch repair genes

Correct answer: 1. PTEN

Explanation: PTEN - Phosphatase & tensin homologue Cowden syndrome - AD disorder with tumours of skin appendages & increased incidence of Breast, Endometrium, Prostate & thyroid cancer Acts as TSG by serving as a break in the pro-growth PI3K/AKT pathway (MCly mutated p/w in human cart) By phosphorylating a number of substrates like BAD and MDM2, AKT enhances cell survival.